Myelin forming cells in pns
1. Oligodendrocytes
2. Schwann cells
3. Both
4. None

Correct answer: 2. Schwann cells

Explanation: Schwann cells are the myelin forming cells in pns Single cell myrlinates single neuron Ref:Guyton and Hall textbook of medical physiology 12th edition,page number:72,73